Anterior bite plane incorporated in orthodontic appliances functions to:
1. Disocclude posterior teeth
2. Disocclude anterior teeth
3. Prevent maxillary posterior teeth from supra- erupting
4. Primarily prevent mandibular anterior teeth from supraeruption

Correct answer: 1. Disocclude posterior teeth